Rekha a 45-years-old woman has negative pap smear with +ve endocervical curretage. Next step in management will be:
1. Colposcopy
2. Vaginal hysterectomy
3. Conisation
4. Wertheim's hysterectomy

Correct answer: 3. Conisation

Explanation: In the question, Rekha has negative pap smear along with positive endocervical curettage - it could mean endometrial cancer which has extended to cervix or adeno carcinoma of endocervix. To distinguish between the two - conization should be done. Colposcopy is of no use as it cannot usualize upper part of endocervix.